Lymphatic drainage of the ovary-
1. Deep inguinal
2. Superficial inguinal
3. Obturator
4. Para-aortic

Correct answer: 4. Para-aortic

Explanation: Ovary drains into para-aortic nodes.